Polycystic disease of the kidney may have cysts in all of the following organs except
1. Lung
2. Liver
3. Pancreas
4. Spleen

Correct answer: 1. Lung

Explanation: Cysts may be there in liver, pancreas, and spleen . Cysts are not present in lungs . ref - Harrisons internal medicine 20e pg2150-2153